Parenteral agent used in diabetes
1. Rosiglitazone
2. Exenatide
3. Repaglinide
4. Canagliflozin

Correct answer: 2. Exenatide

Explanation: Agents Used for Treatment of Type 1 or Type 2 Diabetes Parenteral Amylin agonists Slow gastric emptying, glucagon Pramlintide 0.25-0.5 Reduce postprandial glycemia, weight loss Injection, nausea, risk of hypoglycemia with insulin Agents that also slow GI motility GLP-1 receptor agonists Insulin, glucagon, slow gastric emptying, satiety Exenatide, liraglutide, dulaglutide 0.5-1.0 Weigh loss, do not cause hypoglycemia Injection, nausea, risk of hypoglycemia with insulin secretagogues Renal disease, agents that also slow Gi motility; medullary carcinoma of thyroid Insulin Glucose utilization, hepatic glucose production and other anabolic actions See text and Table 418-4 Not limited Known safety profile Injection, weight gain , hypoglycemia Ref: Harrison 19e pg: 2414